Precancerous lesion of gall bladder is-
1. Porcelain gall bladder
2. Mirrizi syndrome
3. Cholesterosis
4. Acalculous Cholecystitis

Correct answer: 1. Porcelain gall bladder